The inferior hypogastric plexus is located -
1. Anterior to the aorta
2. Behind the kidney
3. Between layers of anterior abdominal wall
4. On the side of rectum

Correct answer: 4. On the side of rectum

Explanation: Inferior Hypogastric plexus is located on the side of the rectum.